All of the following statement are true regarding CNS infection except:
1. Measles virus is causative agent of subacute sclerosing panecephalitis
2. Cytomegalovirus causes bilateral temporal lobe hemorrhagic infarction
3. Prion infection cause spongiform encephalopathy
4. JC virus is causative agent of progressive multifocal leucoencephalopathy

Correct answer: 2. Cytomegalovirus causes bilateral temporal lobe hemorrhagic infarction

Explanation: Ans. (b) CMV virus causes B/L temporal lobe infarction CNS manifestation of CMV: CMV rarely cause CNS infection. Two forms of CMV encephalitis are seen: Resemble HIV encephalitis and present as progressive dementia. Ventriculoencephalitis-- Characterized by cranial nerve deficit, nystagmus and ventriculomegally. In immunocompromised patient CMV can also cause subacute progressive polyradiculopathy. No where is given that CMV can cause temporal lobe infarction: Hence answer Other options: Subacute sclerosing panencephalitis It is a rare chronic progressive demyelinating disease of CNS associated with a chronic permissive infection of brain tissue with measles virus. Progressive multifocal leucoencephalopathy Progressive disorder characterised pathologically by multifocal areas of demyelination of varying size distributing throughout the CNS caused by JC virus. Spongiform encephalopathy Caused by prion infection; HIV infection.